Which is the drug of choice for Type I leprae reaction?
1. Thalidomide
2. Corticosteroids
3. Dapsone
4. Rifampicin

Correct answer: 2. Corticosteroids

Explanation: Corticosteroids are the drug of choice for Type 1 Leprae reaction. Methotrexate is used as a second line. The treatment of choice in Type II leprae reaction is Thalidomide.